Acute osteomyelitis commonly affected in children:
1. Metaphysis
2. Diaphysis
3. Epiphysis
4. Vertebrae

Correct answer: 1. Metaphysis

Explanation: (Metaphysis): Ref: 157 - M, 28-AACUTE OSTEOMYELITIS: - The organisms usually settle in the metaphysis most often in the proximal tibia or in the distal and proximal ends of the femur. This predilection for the metaphysis has been attributed to the peculiar arrangement of the blood vessels in that area: the non-anastomosing terminal branches of the nutrient artery twist back in hair pin loops before entering the large network of sinusoidal veins: the relative vascular stasis favours bacterial colonization.* In young infants: - in whose there is still a free anastomosis between metaphyseal and epiphyseal blood vessels, infection can just as easily lodges in the epiphysis* In adult, haematogaious infection is more common in vertebrae than in the long bones.